Features of Alcoholic hepatitis include all of the following except:
1. Elevated bilirubin
2. Prolonged prothrombin time
3. Elevated serum albumin
4. Anemia

Correct answer: 3. Elevated serum albumin

Explanation: Answer is C (Elevated serum Albumin) Alcoholic hepatitis is associated with hypoalbuminemia or decreased serum albumin levels (and not elevated serum albumin). `Severe alcoholic hepatitis is heralded by coagulopathv (prothrombin time> 5 sec), hypoalbuminemia (albumin<25g/L or 2.5 g/(10 elevated bilirubin levels (>137 ktmo1/1 or > 8ing/d1), anemia, renal failure and ascitis.- Harrison's